Which of following structures will not run through the parotid gland
1. Branches of the facial nerve
2. Retromandibular vein
3. Terminal branch of the external carotid artery
4. Hypoglossal nerve

Correct answer: 4. Hypoglossal nerve

Explanation: Structures running through parotid gland are -

Branches of the facial nerve
Retromandibular vein
Terminal branch of the external carotid artery.